Most common complication of colle's fracture is:
1. Stiffness of fingers
2. Sudeck's dystrophy
3. Nonunion
4. Tendon rupture

Correct answer: 1. Stiffness of fingers

Explanation: A i.e. Siffness of finger